Cutaneous lesions may be produced by the following mycobacteria except-
1. M. intracellulare
2. M. Leprae
3. M. marinum
4. M. tuberculosis

Correct answer: 1. M. intracellulare

Explanation: . Ans. is 'a' i.e., M. intracellulare Principal types of opportunist mycobacterial disease in man and the usual causative agents. Diseases Usual causative agent Lymphadenopathy M. avium complex M. scrofulaceum Skin lesion Post-trauma abscess M. chelonae M.fortuitum M. terrae Swimming pool granuloma M.marinum Buruli ulcer M. ulcerans Pulmonary disease M. avium complex M. kansasii M.xenopi M.malmoense Disseminated disease AIDS-related M. avium complex M.genevense M.avium complex M. chelonae . M. leprae grows in cooler tissues (the skin, peripheral nerve, testis, anterior chamber of eye, upper respiratory tract) Cutaneous manifestations of M. tuberculosis include abscesses and chronic ulcer, scrofuloderma, lupus vulgaris, erythma nodosum, and maliary lesions.